Which of the following is not a pathogenic mycobacteria -
1. M. kansasii
2. M. scrofulaceum
3. M. chelonae
4. M. smegmatis

Correct answer: 4. M. smegmatis

Explanation: According to RUNYON classification atypical mycobacterium is classified under RAPID GROWERS which include M.chelonie, M.fortuitum, M.smegmatis, M.abscess, M.phlei. Non pathogenic- M. smegmatis M. kansasii- Pulmonary disease resembling tuberculosis M. scrofulaceum- Cervical lymphadenitis M. chelonae- chronic abscess